Massage and the application of ligaments to painful areas in the body relieves pain due to-
1. Stimulation of endogenous analgesic system
2. Release of endorphins by the first order neurons in the brain stem
3. Release of glutamate and substance P in the spinal cord
4. Inhibition by large myelinated afferent fibres

Correct answer: 4. Inhibition by large myelinated afferent fibres

Explanation: Ans. D. Inhibition by large myelinated afferent fibresa. Pain:Receptors: naked nerve ending (free nerve ending found in almost every tissues of the body. & Tract Antolateral- spinothalamic tractTypes of PainNerve fiber involved in transmissionSynaptic transmitters1. Fast mild pain (first or fast pain)Small diameter myelinated A li fibers; terminate primarily on neurons in laminas I and V of dorsal hornGlutamate2. Slow severe pain (slow or second pain)Unmyelinated C-fiber; terminate primarily on neurons in laminas I and II of dorsal hornSubstance -P